An 18 years old male reported with chief complaint of sensitivity and deep, dull, radiating pain during chewing. Intra-oral examination showed sparase plague and dental calculus deposits, distolabial migration of the maxillary incisors with diastema formation, mobility of maxillary and mandibular incisors and first molars. Prescribed radiographs showed an arch shaped loss of alveolar bone extending from the distal surface of the mandibular second premolar to the mesial surface of the second molar. There was vertical bone loss in the maxillary incisor region.

The antigens consistently associated with this disease are
1. HLA A9 and B15
2. HLA A0 and B30
3. HLA A15 and B9
4. HLA A30 and B0

Correct answer: 1. HLA A9 and B15